In a child, non – functioning kidney is best diagnosed by :
1. Ultras onography
2. IVU
3. DTPA renogram
4. Creatinine clearance

Correct answer: 3. DTPA renogram

Explanation: The most convenient method of estimation of renal function is by isotope renography.
Two types of isotope renography is there :

1) Renogram, DTPA scan or MAG3 :

DTPA and MAG3 are rapidly excreted by the kidney and are therefore used as radiopharmaceutical agents for dynamic scan.
This scan is preferred for the information :

i) About the blood flow of kidney.
ii) How well each kidney is functioning.
iii) It there is any obstruction to urine output.
2) DMSA scan :

DMSA is concentrated in the renal parenchyma for a time and is therefore used as static scan.
This scan is preferred to lood at structure of kidney, i.e. size, shape and position.